A psychiatric patient taking medication develops tremor, thyroid enlargement and leukocytosis. Drug implicated is:
1. Clomipramine
2. Haloperidol
3. Lithium
4. Olanzapine

Correct answer: 3. Lithium

Explanation: Ans. C. LithiumLithium is mood stabilizer which is drug of choice for bipolar syndrome. It causes tremor, nephrotoxicity, hypothyroidism and Ebstein anomaly. Typical antipsychotics like haloperidol causes EPS and atypical antipsychotics weight gain, hyperglycemia.